Walls of the CT scanner room are coated with –
1. Lead
2. Glass
3. Tungsten
4. Iron

Correct answer: 1. Lead

Explanation: Lead is the most common agent used in modern constructions (Room design) to offer radiation shielding.